CHARGE syndrome does not include
1. Renal abnormalities
2. Coloboma of eye
3. Heart abnormalities
4. Ear abnormalities

Correct answer: 1. Renal abnormalities